In hepatocellular carcinoma, risk factor most important is -
1. Alcoholic hepatitis
2. Schistosomiasis
3. Cirrhosis
4. Fasciolepsis bush infestation

Correct answer: 3. Cirrhosis

Explanation: Answer is 'c' i.e. Cirrhosis Cirrhosis is the most important risk factor for HCC. "75-85% of HCC occur in patients with macronodular cirrhosis" - Harrison